The murmur of hypertropic obstructive cardio myopathy is decreased in which of the following-
1. Supine position
2. Standing position
3. Valsalva maneuver
4. Amyl nitrate inhalation

Correct answer: 1. Supine position